Which of the following is not lined by non-keratinized stratified squamous epithelium?
1. Hypopharynx and laryngopharynx
2. Oesophagus
3. Cornea
4. Tympanic membrane

Correct answer: 4. Tympanic membrane